Through which of the following ligaments of the uterus does Sampson's artery run?
1. Broad ligament
2. Round ligament
3. Cardinal ligament
4. Suspensory ligament

Correct answer: 2. Round ligament

Explanation: Sampson artery is a branch of uterine artery and it runs through the round ligament of the uterus. The round ligament originates below and anterior to the origin of the fallopian tubes and it extends laterally and downward to the inguinal canal, through which it passes to terminate in the upper portion of the labium majus. Ovarian vessels traverse through the suspensory ligament of the ovary. A peritoneal fold that extends beneath the fimbriated end of the fallopian tube to the pelvic wall forms the suspensory ligament of the ovary. Ref: Cunningham F.G., Leveno K.J., Bloom S.L., Hauth J.C., Rouse D.J., Spong C.Y. (2010). Chapter 2. Maternal Anatomy.